Exfoliative cytology is useful in
1. Carcinoma stomach
2. Carcinoma bronchus
3. Carcinoma cervix
4. All of the above

Correct answer: 4. All of the above

Explanation: Ans. is 'd' i.e., All of the above Exfoliative cytology is used for ? Cervical Ca. 3. Bronchogenic Ca. 5. Prostatic Ca. Endometrial Ca. 4. Bladder Ca. 6. Stomach Ca.